String sign of Kantor seen in:
1. Crohn's disease
2. Ulcerative colitis
3. Both of the above
4. None of the above

Correct answer: 1. Crohn's disease

Explanation: Named features of Crohn's Disease :- Hose Pipe appearance Cobble-stone appearance Halo sign on CT String sign of Kantor Raspberry/ rosethorn appearance